What is involved in formation of d-TMP from d- UMP?
1. N5, N10-methylene tetrahydrofolate
2. Formimino folate
3. N5 formyl folate
4. Dihydrofolate

Correct answer: 1. N5, N10-methylene tetrahydrofolate

Explanation: Conversion of dUMP to dTMP requires N5, Nw-methylene H4 folate.